The most important indication for surgical repair of a Bicornuate Uterus is :
1. Infertility
2. Dysmenorrhoea
3. Menorrhagia
4. Habitual abortion

Correct answer: 4. Habitual abortion

Explanation: Habitual abortion Bicornuate uterus is caused by incomplete lateral fusion of the mullerian ducts is (only the lower parts of the duct fuse, leaving the cornua separate). it is characterized by 2 separate but communicating endometrial cavities and a single uterine cervix. Failure of fusion may extend to the cervix resulting in a complete bicornuate uterus or may be partial causing a milder form. Bicornuate uterus causes : Menorrhagiadeg (because of larger bleeding surface) Spasmodic dysmenorrhea.deg But most of the cases are first recognized during pregnancy as a result of pregnancy mishap like : Abortions and premature labour.deg Malpresentations - Transverse lie is favoured.deg Insufficient uterine action leading to retained placenta and PPH.deg Diagnosis -- On bimanual examination it may be possible to feel the two separate uterine horns or uterus may appear unusually wide.deg HSG is the initial diagnostic step in evaluating a possible bicornuate uterus but HSG does not differentiate between a bicornuate and septate uterus. To distinguish a septate uterus from bicornuate uterus -- USG should be done. Management : Bicornuate uterus re*uires sur al treatment onl h- it causes habitual abortions.deg "When a bicornuate or se tate uterus has caused not less than three Miscarriages and no pregnancy has resulted in a viable child, surgery may be indicated." "Surgical reconstruction of the bicornuate uterus has been advocated in women with multiple spontaneous abortions and in whom no other causative factors are identified." Surgery done is : Stressmann Metroplastydeg where an incision is made over the uterus and the two horns are sutured together to form a single cavity. After such a surgery : if woman conceives she should be taken up forEleativelaCaat 38 weeks of Gestation.deg